Which of the following drug is not a uricosuric agent?
1. Probenecid
2. Sulfinpyrazone
3. Benzbromarone
4. Febuxostat

Correct answer: 4. Febuxostat

Explanation: Drugs increasing the excretion of uric acid (Uricosuric agents) Probenecid Sulfinpyrazone Benzbromarone Lesinurad